A 10 year old child has mental age of 4 years. He is:-
1. Idiot
2. Imbecile
3. Moron
4. Normal

Correct answer: 2. Imbecile

Explanation: IQ level = mental age/ chronological age X 100 - IQ (intelligence quotient) = Mental age / Chronological age X 10 Term IQ range Moron 51- 70 Imbecile 26 - 50 Idiot 0 - 25